MC presentation of Hodgkin's disease:
1. Weight loss
2. Palpable lymphadenopathy
3. Fever
4. Night sweats

Correct answer: 2. Palpable lymphadenopathy

Explanation: Ans. B i.e. Palpable lymphadenopathy Hodgkins lymphoma Malignant cells of Hodgkin's disease are: Reed Sternberg cells/ RS RS cells are positive for: -- CD15 and -- CD30 Subtype of Hodgkin's disease, which is NOT positive for CD15 and CD30: Lymphocytic predominant Lacunar cells are seen in: Nodular sclerosis type of lymphoma Hilar lymphadenopathy is a feature of: Nodular sclerosis type MC type of Hodgkins lymphoma: Nodular sclerosing MC type of Hodgkins lymphoma in India: Mixed cellularity